Best management for a contaminated wound with necrotic material
1. Debridement
2. Tetanus toxoid
3. Gas gangrene serum
4. Broad spectrum antibiotics

Correct answer: 1. Debridement

Explanation: Necrotic tissue acts as foci of infection and slows down healing. So Debridement is neccesary after initial assessment. Debridement : A wound should be explored and debrided to the limit of blood staining. Devitalized tissue must be excised until bleeding occurs with obvious exceptions of nerves, vessels and tendons.